Suckling mice is used for isolation of
1. Coxsackie virus
2. Pox
3. Herpes
4. Adenovirus

Correct answer: 1. Coxsackie virus

Explanation: It is necessary to employ suckling mice for the isolation of coxsackieviruses.
 Inoculation is usually made by intracerebral, subcutaneous and intraperitoneal route.
 Adult mice are not susceptible.
 Human diploid fibroblasts (HDF) cell line is used for cultivation of coxsackie A7,9,16; CMV; Echovirus; enteroviruses; HSV-1,2; Poliovirus: parainfluenzavirus, rhinovirus and VZV.

Cultivation of viruses
‘As viruses are obligate intracellular parasites they cannot be grown on any inanimate culture medium.' Three
methods are employed for cultivation of viruses :
1. Animal Inoculation

 Earliest method
 Mice are most widely employed animals
 Other animals used are guinea pigs, rabbits and ferrets.

2. Embryonated eggs

 Sites of inoculation are:

a) Chorioallantoic Membrane ------- visible pocks are produced → HSV, Vaccinia, Smallpox
b) Amniotic Sac
c) Allantoic cavity
→  Influenza o Some paramyxoviruses
d) Yolk Sac → o Some viruses o Chlamydia o Rickettsia
3.Tissue culture

 Most important method for virus isolation.
 Three types of tissue culture are available

I. Organ Culture
II Explant Culture
III. Cell Culture - (routinely employed)

 Cell culture may be

1. Primary cell culture: Rhesus monkey kidney, human amnion, chick embryo fibroblast, human embryonic kidney.
2. Diploid cell strains:- Human diploid fibroblast HL-8, WI-38.
3. Continuous cell line:- Hela, HEP-2, McCoy, Vero